Anterior posterior diameter of Eye ball is
1. 23 mm
2. 23.5 mm
3. 22 mm
4. 24 mm

Correct answer: 4. 24 mm

Explanation: Anterior posterior diameter of Eye ball is 24 mm.